Rate of transmission of HIV from infected Mother to infant is
1. 100%
2. 66%
3. 30%
4. 5-10%

Correct answer: 3. 30%